Oral contraceptives act by :
1. Increasing LH
2. Increasing FSH
3. Decreasing LH and FSH
4. Decreasing ACTH and SRF

Correct answer: 3. Decreasing LH and FSH

Explanation: Decreasing LH and FSH